Arterial carbon dioxide level
1. 40 mm Hg
2. 37 mm Hg
3. 45 mm Hg
4. 60 mm Hg

Correct answer: 1. 40 mm Hg

Explanation: A i.e. 40 mmHg